Which laser is the treatment of choice for superficial cutaneous hemangiomas?
1. ND-YAG laser
2. CO2 laser
3. Pulsed Dye laser (PDL)
4. Argon laser

Correct answer: 3. Pulsed Dye laser (PDL)

Explanation: Vascular specific pulsed dye laser (flash lamp-pumped)- TOC for superficial cutaneous hemangiomas at sites of potential functional impairment and on face. Yellow laser light is absorbed by Oxyhemoglobin. Short pulses are used so that only targeted vessels are heated without affecting surrounding tissue. Hemangiomas with deep component do not respond because the effect of the pulsed dye laser (PDL) is limited by its depth of vascular injury.